Strawberry vaginitis is caused by
1. Candida albicans
2. Chlamydia
3. Herpes genitalis
4. Trichomonas vaginalis

Correct answer: 4. Trichomonas vaginalis

Explanation: Ans. d (Trichomonas vaginalis) (Ref. Shaw's Text book of Gynaecology, 12th/pg. 97, 98)TRICHOMONAS VAGINALIS# Trichomoniasis is disease of child-bearing age and its ingress into vagina is favoured by lowered general resistance and when pH is raised as during the menstrual period (pH 5 -6).# The vaginal discharge is profuse, thin creamy or slightly green in colour, irritating and frothy.# The vaginal walls are tender and discharge causes pruritus and inflammation of vulva. There are often multiple small punctate strawberry spots on vaginal vault and portio vaginalis of cervix-- the so-called strawberry cervix/vagina.# Actively motile Trichomonads can be seen on wet film preparation or parasite can be cultured on feinberg-Whittington medium.# Treatment is metronidazole 200 mg tid for 7 days for both partners.# In first trimester of pregnancy -Trichofuran suppositories, Vinegar douche and betadine gel are useful. STDCausative agentDiagnosisTreatment1.Chancroid (Soft sore)H. ducreyi"School of fish"/Rail road trackErythromycin/ Cotrimazole2.LGVChlamydia trachomatis(LI, L2, L3)Gram's stain with > 4 neutrophils per fieldTetracycline3.Syphilis (Hard chancre)T pallidumDark ground microscopyPenicillin4.Genital herpesH. simplex 2Tzanck preparation or Pap stainAcyclovir5.Donovaniasis (Granuloma inguinale)C.granulomatisDemonstration of Donovan bodies in mononuclear cells in smear.Erythromycin6.GonorrhoeaN. gonorrhoeaeRapid diagnosis in male is by Gram's staining of urethral exudatesPenicillin, Ceftriaxone7.TrichomoniasisT. vaginalis"Strawberry vagina'' ; Wet film preparationMetronidazole8.Bacterial vaginosisGadnerella vaginalis'Clue cells', Leucocytopenia, Reduced lactobacilliMetro/ClindaStrawberry cervix: diffusely visible punctate cervical erythema, seen with trichomonas vaginitis.Cobblestone vagina: Thickening of the natural vaginal folds due to chronic vaginitis.